Lens contains the oldest cells in-
1. Nucleus
2. Anterior surface of lens
3. Posterior surface of lens
4. Nucleo- cortical junction

Correct answer: 1. Nucleus

Explanation: Nucleus is the central part containing older fibres. Embryonic zone of nucleus (embryonic nucleus) contains oldest fibres. Cortex contains the youngest fibres. Ref: Parson's 22nd/e p.261&21st/e p.256,257; Khurana 7th/e p.185&4th/e p.167.